All of the following are true about Dermatophytosis except
1. Tinea corporis is the most common Tinea in India
2. Tinea Pedis is the most common Tinea in world
3. Most common cause of T.Capitis in India is Microsporum canis.
4. Most common cause of T.Capitis in US is Trichyophyton tonsurans

Correct answer: 3. Most common cause of T.Capitis in India is Microsporum canis.